Toxic shock syndrome is due to
1. Septic abortion
2. Forgotten tampons
3. IUCD
4. Pelvic examination

Correct answer: 2. Forgotten tampons

Explanation: TSST-1 antibody is seen in convalescents. This is protective and its absence is a factor in the pathogenesis of the condition. Though tampon-related TSS is now rare, the syndrome occurs in other infections of the skin, mucosa, and other sites and also in some surgical wounds. Ref: Textbook of microbiology Anantha Narayan and panickers; tenth edition; pg no:204